Allergic rhinitis is which type of hypersensitivity
1. Type - 1
2. Type - 2
3. Type - 3
4. Type - 4

Correct answer: 1. Type - 1

Explanation: Allergic rhinitis is a type 1 hypersensitivity reaction, IgE antibody-mediated. May also be associated with symptoms of itching in the eyes, palate, and pharynx. Characterized by watery nasal discharge,nasal obstruction, sneezing and itching in the nose Ref: Dhingra 7e pg 187.